Static bone cyst is a cyst developing from
1. Infection of Salivary gland in the mandible
2. Tissue of the odontogenic apparatus
3. Tissue of the oral mucosa
4. None of the above

Correct answer: 4. None of the above